Which of the following is a component of Coenzyme A?
1. 3 Alanine
2. Glycine
3. Pyrrolysine
4. Selenocysteine

Correct answer: 1. 3 Alanine

Explanation: Ans. is 'a' i.e., 3 AlanineCoenzyme A is a carrier of acyl group. Hence it takes part of fatty acid synthesis and fatty acid oxidationIt is formed from pantothenic acid and mercaptoethanolamine, Pantothenic acid is formed from pantoic acid and p alanine